Clomiphene citrate is not known to produce which of the following effects in a young female of 30 years of age (child bearing age group) ?
1. Hot flushes
2. Ovulation
3. Decreased FSH and LH secretion
4. Polycystic ovaries

Correct answer: 3. Decreased FSH and LH secretion